Continuous administration of GnRH -
1. Stimulates hypothalamic - pituitary axis
2. Suppresses hypothalamic - pituitary axis
3. May suppress or stimulatehypothalomic -pituitary axis
4. Has no effect on hypothalamic - pituitary axis

Correct answer: 2. Suppresses hypothalamic - pituitary axis

Explanation: Ans. is 'b' i.e., Suppresses hypothalamic - pituitary axiso The timing and pattern of hypothalamic factor release are important determinants of anterior pituitary response,o Most hypothalamic releasing factors are secreted in a cyclic or pulsatile manner, rather than incontinuous manner.o For example, GnRH is normally secreted in episodic bursts, with a periodicity of few hours,o These bursts produce a circhoral peak of gonadotropins secretion, and these bursts are essential for normal secretion of gonadotropins.o If GnRH is administered by constant infusion, GnRH receptors in the anterior pituitary down-regulate and gonadotropins secretion is suppressed,